All are true regarding malaria except -
1. Infant parasite rate is a poor indicator of malaria occurence in a community
2. ABER is used for operational approach
3. Spleen rate is an important indicator of endermicity of malaria
4. Usually caused by Plasmodium vivax

Correct answer: 1. Infant parasite rate is a poor indicator of malaria occurence in a community

Explanation: Infant parasite rate is defined as the percentage of infants below the age of 1 year showing malaria parasites in their blood films.It is regarded as most sensitive index of recent transmission of malaria in a locality Reference; Park's Textbook of preventive and social medicine, 24th edition.Pg no. 277